Treatment of choice in seronegative spondy-larthritis is:
1. Phenylbutazone
2. Aspirin
3. Indomethacin
4. Corticosteroid

Correct answer: 3. Indomethacin

Explanation: Answer is C (Indomethacin): Non steroidal anti-inflammatory drugs are the medications of choice in seronegative spondyloarthropathies. Indomethacin is the preferred NSAID for most of the seronegative spondyloarthropathies.